Additional energy requirement during Pregnancy (Kcalories/day)
1. +300 kcal
2. +600 kcal
3. +350 kcal
4. +520 kcal

Correct answer: 3. +350 kcal

Explanation: Energy requirement MAN WOMAN Sedentary 2300 1900 (kcal/day) Moderate 2700 2200 (kcal/day) Heavy 3500 2900 (kcal/day) Additional energy requirements 2/3rd trimester - + 350 1st trimester- 150 2/3rd trimester - 350 Lactation 0-6 month = +600 6-12 month = +520